Best chart to represent incidence of disease over a period of time
1. Bar chart
2. Scatter plot
3. Line diagram
4. Histogram

Correct answer: 3. Line diagram

Explanation: Line diagram:- Trend of a event over a period of time and scatter plot relationship between two quantitative variables Ref:- K Park, 24th ed; pg num:- 883